The MR imaging in multiple sclerosis will show lesions in:
1. White matter
2. Grey matter
3. Thalamus
4. Basal ganglia

Correct answer: 1. White matter

Explanation: A i.e. White matter